Example of traction epiphysis is
1. Trochanters of long bone
2. Os trigonum
3. Carpals
4. Coracoid process

Correct answer: 1. Trochanters of long bone

Explanation: Traction epiphysis is nonarticular and does not take part in transmission of weight. It always provides attachment to one or more tendons which exert a traction on epiphysis. Traction epiphyses ossify later than pressure epiphyses Eg:Trochanters of femur and tubercles of humerus Description Ref BD CHAURASIA S Handbook of General Anatomy Fourth edition Pg no 41